In autopsy, spinal cord is opened through which approach:
1. Anterior
2. Posterior
3. Lateral
4. Anterolateral

Correct answer: 2. Posterior

Explanation: Ans. Posterior